A patient of borderline tuberculoid leprosy on treatment develops reaction. What will be the best next line of management -
1. Stop dapsone immediately'
2. Stop dapsone now and restart after some time
3. Continue dapsone and give steroids
4. Stop dapsone forever

Correct answer: 3. Continue dapsone and give steroids